Contraindications to major hepatic resection for metastatic disease include all of the following except-
1. Total hepatic involvement
2. Advanced cirrhosis
3. Extrahepatic tumor involvement
4. Jaundice from extrinsic ductal obstruction

Correct answer: 4. Jaundice from extrinsic ductal obstruction